Which of the following statements is true regarding cerclage
1. Shirodkar procedure is most often selected.
2. Broad - spectrum antibiotic prophylaxis is required.
3. Ideally performed at 10 → 12 weeks gestation.
4. Prolapsing membranes can be reduced with Trendelenburg positioning and bladder filling prior to cerclage placement.

Correct answer: 4. Prolapsing membranes can be reduced with Trendelenburg positioning and bladder filling prior to cerclage placement.

Explanation: Timing of surgery is between 12 → 14 weeks gestation
McDonald technique is most used procedure
No need of antibiotic prophylaxis as membranes not ruptured.